Collection of which of the following in anterior chamber, is known as hyphaema:
1. Pus
2. Blood
3. Fluid
4. None of the above

Correct answer: 2. Blood

Explanation: Ans. B: Blood Collection of blood in anterior chamber (forming a sediment at the bottom, the surface of which is level) may occur after contusions or spontaneously is known as hyphaema Hyphema It is blood in the anterior chamber of the eye. It may appear as a reddish tinge, or it may appear as a small pool of blood at the bottom of the iris or in the cornea. Causes Hyphemas are frequently caused by injury (blunt trauma) and may partially or completely block vision. Presentation and prognosis Hyphemas may resolve by themselves, they may require medical treatment, or they may result in permanent visual impairment. A long-standing hyphema may result in hemosiderosis and heterochromia. Blood accumulation may also cause an elevation of the intraocular pressure. Treatment The vast majority of hyphemas resolve on their own without complication. Treatment of hyphema consists of 4 major tenets: Light activity or even bedrest (to prevent a rebleed into the anterior chamber, which may cause obstruction of vision, or a painful rise in pressure) Elevation of the head of the bed by approximately 45 degrees (so that the hyphema can settle out inferiorly and avoid obstruction of vision, as well as to facilitate resolution) Wearing of an eye shield at night time (to prevent accidental rubbing of the eyes during sleep, which can precipitate a rebleed) Avoidance of pain medications such as aspirin or ibuprofen (which thin the blood and increase the risk of a rebleed -instead, acetaminophen can be used for pain control).